All of the following physiological processes occur during the growth at the epiphyseal plate except
1. Proliferation and hypertrophy
2. Calcification and ossification
3. Vasculogenesis and eroison
4. Replacement of red bone marrow with yellow marrow

Correct answer: 4. Replacement of red bone marrow with yellow marrow

Explanation: The epiphyseal plate (or epiphysial plate, physis, or growth plate) is a hyaline cartilage plate in the metaphysis at each end of a long bone. It is the part of a long bone where new bone growth takes place; that is, the whole bone is alive, with maintenance remodeling throughout its existing bone tissue, but the growth plate is the place where the long bone grows longer (adds length). The plate is found in children and adolescents; in adults, who have stopped growing, the plate is replaced by an epiphyseal line. This replacement is known as epiphyseal closure.